Brugada Syndrome is associated with:
1. Left Bundle Branch Block
2. Left Anterior Fascicular block
3. Left Posterior Fascicular block
4. Right Bundle Branch Block

Correct answer: 4. Right Bundle Branch Block

Explanation: Answer is D (Right Bundle Branch Block) Brugada Syndrome is typically associated with a Right Bundle Branch Block (RBBB) pattern on EKG. Brugada Syndrome is characterized by syncopal episodes and/or sudden death and a characteristic electrocardiogram (ECG) with a pattern of Right Bundle Branch Block with an ST segment elevation in leads V1 to V3. The diagnosis Brugada syndrome is based on the history of sudden death with the typical electrocardiographic pattern of ST segment elevation in leads V1-V3, with or without right bundle branch block. The presence of RBBB is not essential to the diagnosis of Brugada Syndrome. Patients with Brugada Syndrome may have a structurally normal heart.